Gillies approach for reduction of zygomatic fractures is done through
1. Temporal fossa
2. Infra temporal fossa
3. Infra orbital fossa
4. All of the above

Correct answer: 1. Temporal fossa